Hypocalcemia in immediate post op period following excision of parathyroid adenoma is due to:
1. Stress
2. Increased uptake by bones
3. Hypercalcemia
4. Increased calcitonin

Correct answer: 2. Increased uptake by bones

Explanation: Hungry Bone Syndrome Hypocalcemia in immediate post - op period following excision of parathyroid adenoma is due to increased uptake by bones.